HIV virus contains:
1. Single stranded DNA
2. Single stranded RNA
3. Double stranded DNA
4. Double stranded RNA

Correct answer: 2. Single stranded RNA

Explanation: Ans. is 'b' i.e., Single stranded RNA(Ref: Ananthanarayan, 9th/e, p. 571 and 8th/e, p. 570)* The genome in HIV is diploid, composed of two identical single stranded positive sense RNA copies.